Example of slow speed rotary stainless steel instruments:
1. GG drill and Peeso reamer
2. Nickel-titanium rotary instruments
3. Reciprocating handpiece
4. Vertical stroke handpiece

Correct answer: 1. GG drill and Peeso reamer

Explanation: Rotary Endodontic instrument used with a Handpiece 
They can be further subdivided into:

Slow-speed rotary stainless steel instruments  eg. Gates gliden drill, peeso reamer
Nickel-titanium rotary instrument.

Textbook of Endodontics Nisha GARG 3rd ED